Features of genetic code are all, except ?
1. Ambiguous
2. Non-overlapping
3. Commaless
4. Specific

Correct answer: 1. Ambiguous

Explanation: Ans. is 'a' i.e., Ambiguous